Which of the following step in cell cycle is known as restriction point?
1. G0 to G1
2. G1 to S
3. S to G2
4. G2 TO M

Correct answer: 2. G1 to S

Explanation: Cells in G1 progress through the cycle and reach a critical stage at the G1/S transition, known as a restriction point, a rate limiting step for replication. Ref: Robbins 8th edition Chapter 3.